Endocervical polyps causing abnormal menstrual bleeding are seen most commonly in
1. Nulliparous women
2. Pre-pubertal females
3. Multiparous women
4. Adolescents

Correct answer: 3. Multiparous women

Explanation: Endocervical polyps are seen more commonly in multiparous women.